The valve of Hasner is
1. Opening of nasolacrimal duct
2. Sphenoidal sinus opening
3. Frontal sinus opening
4. Ethmoidal sinus opening

Correct answer: 1. Opening of nasolacrimal duct

Explanation: Nasolacrimal duct (NLD) opens into the Inferior meatus through the Hasner`s valve.The direction of NLD--downward, backward, and laterally from the lacrimal sac to the nose, Length- 1.8 cmSphenoid sinus and posterior ethmoids open into the sphenoethmoidal recess (Superior meatus)Frontal, Maxillary and Anterior ethmoids open into the middle meatus.Ref: Hazarika; 3rd ed; Pg 240